Stem cells are taken from ?
1. Skin
2. Bone marrow
3. Oral mucosa
4. Elementary tract

Correct answer: 2. Bone marrow

Explanation: Stem cells are undifferentiated pluripotent cells. They are present in bone marrow of adults. Basic Pathology, Robbins. Page no.:60